Blunt injury abdomen, patient was hemodynamically stable, next investigation
1. X-ray abdomen
2. Barium smallow
3. FAST
4. DPL

Correct answer: 3. FAST

Explanation: .evaluation of blunt trauma of abdomen ultrasound-useful,simple,non invasive method of evaluating the abdomen. advantages of ultrasound-no danger of radiation,can be done bedside,can be repeated many times,it is cost effective. focused abdominal sonar trauma(FAST)-it is rapid ,non invasive,portable bedside method of investigation focusing on pericardium, splenic , hepatic and pelvic areas.blood more than 100ml in cavities can be identified. (Ref: SRB's Manual of Surgery ,5th edition ,pg no. 146)